Botulisim causes -
1. Descending flaccid paralysis
2. Descending spastic paralysis
3. Ascending paralysis
4. Ascending spastic paralysis

Correct answer: 1. Descending flaccid paralysis

Explanation: Ans. is 'a' i.e., Descending flaccid paralysis o Botulism causes acute descending paralysis of flaccid type (Areflexia).o Symptoms begin 18 - 24 hrs after ingestion of toxic food with cranial nerve involvement. These are -DiplopiaDysarthriaDysphagiao Symmetric descending paralysis is characteristic and can lead to respiratory failure and death,o Sites of action - NM Junction, post gang parasymp nerve endings & peripheral gangliao Nausea, vomiting, abdominal paino Dizziness, dry moutho Ptosis is frequento Paralytic ileus, constipation and urinary retention are commono The gag reflex may be suppressed and deep tendon reflexes may be normal or decreased,o Pupillary reflex may be depressed or fixed.